Rathke's pouch is derived from -
1. Telencephalon
2. Mesencephalon
3. Metencephalon
4. Stomodaeum

Correct answer: 4. Stomodaeum

Explanation: Ans. is 'd' i.e., Stomodaeum o The Rathke's pouch is an ectodermal upgrowth from the stomodaeum in front of buccopharyngeal membrane.